True about Pralidoxime ?
1. It acts by regenerating acetylcholinesterase enzyme
2. It can be used for all chlorinated compounds
3. It is not used for war gases
4. Plasma cholinesterase levels signifies better reflection of enzyme activity than RBC levels

Correct answer: 1. It acts by regenerating acetylcholinesterase enzyme

Explanation: Ans. is 'a' i.e., It acts by regenerating acetylcholinesterase enzyme Pralidoxime (and other oximes) acts by reactivating cholinesterase enzyme. Oximes are used for poisoning with organophosphate insectide not for chlorinated insectisides (chlorinate hydrocarbons e.g. DDT, lindane, dieldrin). Some of the war gases are organophosphate compounds e.g. dialkylfuorophosphate, for which oximes can be used. RBC cholinesterase levels reflect enzyme activity better than plasma cholinesterase because: i) Plasma cholinesterase can give falsly high activity if there is RBC hemolysis (RBC cholinesterase comes into plasma) ii) In chornic organophosphate exposure, plasma cholinesterase may return to normal but RBC levels remains depressed.